Sinusitis is LEAST involved in
1. Maxillary
2. Ethmoid
3. Frontal
4. Sphenoid

Correct answer: 4. Sphenoid

Explanation: (Sphenoid) (181- Dhingra 4th)* Most common sinus involved is - Maxillary* Least common sinus involved in - Sphenoid* Order of sequence - Maxillary >ethmoid > frontal > sphenoid